Bullous skin lesions are seen in all except –
1. Impetigo
2. DM
3. Porphyria
4. Lupus vulgaris

Correct answer: 4. Lupus vulgaris

Explanation: Impetigo, diabetes and porphyria can cause vesiculo-bullous lesions.
Lupus vulgaris is not a vesiculo-bullous disorder.